True about Carbon monoxide poisoning:
1. CO has 100 times more affinity than 02 for Hb
2. Cause right side shifting of 02 dissociation curve
3. Oxygen-haemoglobin saturation curve becomes hyperbolic shape
4. Pulse oximetry can accurately detect level of CO

Correct answer: 3. Oxygen-haemoglobin saturation curve becomes hyperbolic shape

Explanation: Ans: c. Orygen-haemoglobin saturation saturation Curve Becomes Hyperbolic Shape[Ref Ganong 25th/650-51; Guyton 12th/352; A K Jain 6th/ 431; httpst/pedclerk. bsd. uchicago. edu/page/ (www. nebi. Nlm. nih. gov)Carbon-monoxide-poisoning:Carbon monoxide shifts the oxygen-haemoglobin saturation curve to the left and changes it to a more hyperbolic shape.Less oxygen is available for the tissues.plasma level of carboxyhemoglobin is normally quite low.At baseline, levels up to 3 percent ,nay be seen in nonsmokers, while smokers may have levels up to 10-15 % percent.Left shift of O2-Hb dissociation curve occur in - CO poisoning HbF, myoglobin eb decrease in body temperature.CO has about 240 times the affinity of O2for Hb; this means that CO will combine with the same amount of Hb as 02 when the CO partial pressure is 240 times lower.